Interaction involved in primary structure of protein ?
1. Hydrogen bond
2. Disulfide bond
3. Peptide bond
4. Electrostatic bond

Correct answer: 3. Peptide bond

Explanation: Ans. is `c' i.e., Peptide bond